At a PHC, vaccine storage is done in
1. Vaccine carrier
2. ILR
3. Walk in Cold rooms
4. Cold box

Correct answer: 2. ILR

Explanation: - At PHC level vaccine is stored in small ILR & small deep freezer ILR Cold chain components & level in India STORAGE LEVEL STORAGE DEVICES DURATION OF STORAGE STATE/ REGIONAL LEVEL walk in cold rooms walk in freezer 3 months CHC/ DISTRICT LEVEL Large ILR Large deep freezer 1 month PHC Small ILR Small deep freezer 1 month SUBCENTER LEVEL Vaccine carriers 24-48hrs VILLAGE LEVEL Ice packs 2-4hrs